Secondary deposits from carcinoma breast is commonest in-
1. Lung
2. Liver
3. Brain
4. Bone

Correct answer: 4. Bone